Laboratory evaluation for the differential diagnosis of chronic myeloproliferative disorders includes all the following evcepr :
1. Chromosomal evaluation
2. Bone marrow aspiration
3. Flow-cytometric analysis
4. Determination of red blood cell mass

Correct answer: 3. Flow-cytometric analysis

Explanation: Answer is C (Flow cytometry) respective myeloproliferative disorde Myeloproliferative disorder Useful tests Polycythemia vera Elevated Red cell mass / with normal erythropoetin levels Chronic myeloid leukemia Chromosomal demonstration of Philadelphia chromosome or bcr /abl translocation Chronic idiopathic Myelofibrosis Dry tap on bone marrow aspiration alongwith characteristic peripheral blood picture Essential thrombocytosis Elevated Platelet count with cytogenetic evaluation to rule out CML or other myelodysplastic disorder